True about atherosclerosis ?
1. Chronic inflammatory disorder of vessel wall
2. Not lead to complications of vessel wall
3. Thoracic aorta more than abdominal aorta
4. Atherosclerostic plaques do not demonstrate neovascularization

Correct answer: 1. Chronic inflammatory disorder of vessel wall

Explanation: Ans. is 'a' i.e., Chronic inflammatory disorder of vessel wall Facts about atherosclerosis Is a chronic inflammatory and healing response of the arterial wall to endothelial injury.Atherosclerosis progresses in the following sequence:Endothelial injury and dysfunction - Accumulation of lipoproteins (mainly LDL) Monocyte adhesion to the endothelium, followed by migration into the intima and transformation into macrophages and foam cells - Platelet adhesion factor release from activated platelets, macrophages, and vascular wall cells - Smooth muscle cell proliferation, extracellular matrix production, and recruitment of T cells - Lipid accumulation both extracellularly and within cells (macrophages and smooth muscle cell).In descending order, the most extensively involved vessels are the lower abdominal aorta, the coronary arteries, the popliteal arteries, the internal carotid arteries, and the vessels of the circle of Willis. In humans, the abdominal aorta is typically involved to a much greater degree than the thoracic aorta.